Drug of choice for bipolar mood disorder -
1. Carbamazepinc
2. Lithium carbonate
3. Imipramine
4. Buspirone

Correct answer: 2. Lithium carbonate